A patient on warfarin was given phenobarbitone, The result would have been -
1. Increase the dose of warfarin
2. Decrease the dose of warfarin
3. Increase the dose of phenobarbitone
4. Decerease the dose of phenobarbitone

Correct answer: 1. Increase the dose of warfarin

Explanation: Ans. is 'a' i.e., Increase the dose of warfarin